All are causes of increased anion gap except ?
1. DKA
2. Starvation
3. Ethylene glycol poisoning
4. Glue sniffing

Correct answer: 4. Glue sniffing

Explanation: Causes of High-Anion Gap Metabolic Acidosis *Lactic acidosis *Ketoacidosis Diabetic Alcoholic Starvation *Renal failure (acute and chronic) *toxins: ethylene glycol methanol salicylates propylene glycol pyroglutamic acid (Ref: Harrison's principles of internal medicine,18E , pg 365)